True statement about Band shaped Keratopathy is
1. Iron deposition in Bowman's membrane
2. Calcium deposition in Descemet's membrane
3. Iron chelating agents are used for treatment
4. Sarcodosis can be a cause

Correct answer: 4. Sarcodosis can be a cause

Explanation: Bone Shaped Keratopathy

Degeneration disease occuring due to calcium deposition in Bowman's membrane.

Etiology -

Hypercalcemia
Still's disease
Sarcoidosis

Treatment :

Chelation with EDTA